The water shed area in the marginal artery of Drummond is at
1. Junction of proximal 2/3rd and distal 1/3' of transverse colon
2. Junction of Ascending and transverse colon
3. Splenic flexure
4. At rectosigmoid junction

Correct answer: 3. Splenic flexure

Explanation: Answer- C. Splenic flexureThe blood supply of colon is derived from the marginal artery of Drummond.It is a paracolic anastomotic artery formed by anastomosis between colic branches of superior mesentric artery ileocolic, right colic, middle colic) and colic branches of inferior muentetic artety (left colic and sigmoidal arteries),